Patient with 1.2 cm breast lump with three lymph nodes in the axilla of same side,LN are fixed with no metastasis is in which stage as per AJCC?
1. T1N0M0
2. T1N1M0
3. T1N2aM0
4. T2N1M0

Correct answer: 3. T1N2aM0